Least desirable maxillary major connector is:
1. Complete palate
2. Double palatal bar
3. Horse-shoe shaped
4. Closed horse-shoe

Correct answer: 3. Horse-shoe shaped

Explanation: U' shaped (or) Horse shoe shaped major connector:

Least desirable palatal major connector.
Poorest designed palatal major connector, because it lacks rigidity.
This is indicated only in cases of inoperable tori, extending to the posterior limit of the hard palate.
It lacks rigidity.
This design leads to increased ﬂexibility and movement at the open ends.
The wider the coverage, the more it resemble a complete palate (palatal plate).